1st urge at micturition comes at ?
1. 50 ml
2. 250 ml
3. 150 ml
4. 350 ml

Correct answer: 3. 150 ml

Explanation: Ans. is 'c' i.e., 150 ml"First urge to void is felt at a bladder volume of about 150 ml, and a marked sense of fullness at about 400 ml". - Ganong